Which of the following tests is abnormal in patients with ALS (Amyotrophic Lateral Sclerosis)?
1. V.E.P
2. MRI whole spine
3. CT whole Spine
4. Electromyography

Correct answer: 4. Electromyography

Explanation: ALS Neurodegenerative disorder characterized by death of anterior horn cells in the spinal cord and their brainstem homologs innervating bulbar muscles. V.E.P is used for evaluation of optic nerve involvement in multiple sclerosis. CT/MRI spine cannot visualize loss of anterior horn cells or pyramidal cells in the cortex. In motor neuron disease: Peripheral nerve conduction studies Electromyography Above both is done to get diagnosis of Amyotrophic lateral sclerosis.